Which of the following statements regarding corneal transplantation is true
1. Whole eye needs to be preserved in tissue culture
2. Donor not accepted if age > 60 years
3. Specular microsocopy analysis is used to assess endothelial cell count
4. HLA matching is mandatory

Correct answer: 3. Specular microsocopy analysis is used to assess endothelial cell count

Explanation: C i.e. Specular microsocopy analysis is used to assess endothelial cell count Donor cornea is most commonly preserved as corneal scleral button (cornea with 2-3 mm sclera/ rim)Q. HLA matching is not mandatoryQ. Cornea from donors between 5-60/70 years age are preferred but the age limits at both ends are arbitraryQ. Specular microscopy >Slit lamp examination are most important quality control evaluation used to assess endothelial cell count of donor corneaQ.